The most potent topical corticosteroids is -
1. Hydrocortisone butyrate cream 0.1%
2. Betamethasone valerate cream 0.1%
3. Clobetasol propionate cream 0.5%
4. Clobetasone butyrate cream 0.5%

Correct answer: 3. Clobetasol propionate cream 0.5%

Explanation: Super potent topical corticosteroids Clobetasol propionate 0.05% halobetasolpropionate 0.05% betametnasone dipropionate 0.05% Fitzpatricks textbook of dermatology, principles of topical therapy page 3363